In ca ovary inguinal lymph nodes are involved in stage
1. Stage II
2. Stage III a
3. Stage IIIc
4. Stage IVb

Correct answer: 4. Stage IVb

Explanation: FIGO revised the staging of carcinoma ovary in January 2014 and according to the new staging inguinal LN involvement is stage IV b.